Red velvety appearance of stomach is seen in the poisoning of
1. Lead
2. Arsenic
3. Copper
4. Mercury

Correct answer: 2. Arsenic

Explanation: Black foot disease :

Chronic exposure of arsenic causef varosparm and peripheral varcular infufficiency.
Dry gangrene and spotaneous amputations of affected extremitier.
Red velvety stomach mucosa(Strawberry stomach) arsenic poisonig.
Blue linking on gems - lead(Bustonian line).
Tremors  - Mercury(intertional tremors).
Anemia - lead(microcytic hypochromic anemia).